Endemic ascites is associated with the following ?
1. Pyrrolizidine
2. Aflatoxin
3. Sanguinarine
4. Beta oxalylamino alanine (BOAA)

Correct answer: 1. Pyrrolizidine

Explanation: Ans. is 'a' i.e., Pyrrolizidine Endemic ascites o Endemic ascites is caused by a hepatotoxin - pyrralizidine alkaloid found in weed seeds of Crotolariu (Jhunjhunia). o These weed seeds of Jhunjhunia contaminate the millet seeds Panicum ',Ware (locally k/a Gondhli) o Endemic ascites presented in Sarguja district of Madhya Pradesh during 1973 & 1976 as outbreak of rapidly developing ascites and jaundice with high mortality. Preventive measures Educating the people Deweeding of Jhunjhunia plants which grow along with the staple food-millet. o Sieving to separate out the Jhunjhunia seeds from millet seeds.